Keratic precipitates are on which layer of cornea:
1. Epithelium
2. Endothelium
3. Stroma
4. Bowman's membrane

Correct answer: 2. Endothelium

Explanation: Ans. Endothelium